The most radiosensitive tissue is:
1. Nerve
2. Bone marrow
3. Thyroid
4. Liver

Correct answer: 2. Bone marrow

Explanation: Ans. B: Bone marrow Bone is among the most radioresistant organ By contrast, the male testis, female ovary, and bone marrow are the most sensitive organs Most Radiosensitive: Phase of cell cycle: G2M phase Structure in cell: DNA Cell: Lymphocyte Lung tumour: Small cell Ca Brain tumour: Medulloblastoma Ovarian tumour: Dysgerminoma Testicular tumour: Seminoma Bone tumour: Ewing's sarcoma Radioresistance: Cartilage is radioresistant structure